True about foramen of morgagni -a) It is femoral canalb) It is a diaphragmatic openingc) Superior epigastric vessels passes through it .d) Located posteriorlye) Esophagus passes through it
1. a
2. c
3. bc
4. ad

Correct answer: 3. bc

Explanation: Foramen of Morgagni lies in anterior part. It lies between the xiphoid process and the origin of diaphragm at 7th costal cartilage. Structures passing through the foramen include superior epigastric vessels and some lymphatics.